Craniofacial dissociation is seen in
1. Le Fort 1 fracture
2. Le Fort 2 fracture
3. Le Fort 3 fracture
4. Tripod fracture

Correct answer: 3. Le Fort 3 fracture

Explanation: In Le Fort 3 fracture there is a complete separation of facial bones from the cranial bones. The fracture line passes through the root of nose, ethmofrontal junction, superior orbital fissure, lateral wall of the orbit, frontozygomatic and temporozygomatic sutures and the upper part of pterygoid plates Ref: Textbook of diseases of ENT, PL Dhingra, 7th edition, pg no. 207